All of the following are features of reversible cell injury, except:
1. Endoplasmic reticulum swelling
2. Karyorrhexis
3. Plasma membrane blebbing
4. Detachment of ribosomes

Correct answer: 2. Karyorrhexis

Explanation: MECHANISM OF REVERSIBLE INJURY:- Karyorrhexis is seen in necrosis (irreversible cell injury)